Slit lamp examination helps in examination of?
1. Anterior 2/3rd of choroid
2. Anterior 1/3rd of choroid
3. Posterior 1/3rd of choroid
4. Posterior capsule

Correct answer: 4. Posterior capsule

Explanation: Ans. is 'd' i.e., Posterior capsule Slit-lamp bimicroscopy is very useful in the diagnosis of eye diseases. o It should routinely be performed in almost all diseases of the eye. o Following structures are examined ? Eyelids and lashes Conjunctiva Cornea Anterior chamber Iris Lens : Anterior capsule, cortex, nucleus, posterior capsular Anterior vitreous